Intestinal biopsy is not diagnostic in
1. Abetalipoprotienemina
2. Tropical sprue
3. Intestinal lymphagienctaisis
4. Agammaaglobinemia

Correct answer: 2. Tropical sprue

Explanation: Refer Robbins page no 9/e 784 Small bowel biopsy is virtually always abnormal when the tTG IgA antibody level is very high (more than five-fold the normal range), and EMA is positive. This is done in a procedure called a biopsy. The physician eases a long, thin tube called an endoscope through the mouth andstomach into the small intestine, and then takes samples of the tissue using small instruments passed through the endoscope.Biopsy remains the most accurate way to diagnose celiac disease